Which of the following is an antidote to acetaminophen poisoning?
1. N-acetyl cysteine
2. Atropine
3. Flumazenil
4. Naloxone

Correct answer: 1. N-acetyl cysteine

Explanation: Ans. A. N-acetyl cysteineParacetamol poisoning, also known as acetaminophen poisoning, is caused by excessive use of the medication paracetamol (acetaminophen). Most people have few or non-specific symptoms in the first 24 hours following overdose. This may include feeling tired, abdominal pain, or nausea. This is typically followed by a couple of days without any symptoms after which yellowish skin, blood clotting problems, and confusion occurs as a result of liver failure. Additional complications may include kidney failure, pancreatitis, low blood sugar, and lactic acidosis. Death may occur within 2-7 days of ingestion. Overdose is treated with N-acetylcysteine used orally within 16 hours after ingestion. Once hepatic failure occurs, the agent is contraindicated. Supportive treatment includes correction of hypoglycemia, maintenance of hydration, electrolyte balance, treatment of coagulopathy, hemodialysis for acute renal failure and management of fulminant hepatic failure.